Good prognosis factors of ALL are all except
1. Hyperdipoidy
2. WBC count < 50000
3. Age > 10 years
4. T (12:21) translocation

Correct answer: 3. Age > 10 years

Explanation: Hyperdiploidy with chromosome number more than 50 is associated with good prognosis for ALL.Certain chromosomal abnormalities like t(12;21) are also associated with good prognosis.Age > 10 years is a bad prognostic factor,the age group of 2-10 years have favourable outcome. WBC count less than 50,000/mm3 is also associated with good prognosis. Reference:Essential pediatrics-Ghai,8th edition,page no:600,601.